Not a feature of absolute angle closure glaucoma:
1. Painful blind eye
2. Bullous keratopathy
3. Atrophic iris
4. Phthisis

Correct answer: 4. Phthisis

Explanation: Phthisis is not a feature of absolute angle closure glaucoma. Absolute angle closure glaucoma Painful Blind eye Perilimbal reddish blue zone Caput medusae Bullous keratopathy/ filamentary keratitis Shallow anterior chamber Atrophic iris Fixed dilated pupil